True about denaturation of proteins is all except:
1. Unfolding occurs
2. Disruption of secondary structure occurs
3. Sequence of amino acids remain the same
4. Biological activity is retained

Correct answer: 4. Biological activity is retained

Explanation: D i.e. Biological activity is retained